Ivabradine is used for management of ?
1. Stable angina
2. Pre renal azotemia
3. Alzheimers disease
4. Anti smoking agent

Correct answer: 1. Stable angina

Explanation: Ans. is 'a' i.e., Stable angina(Ref: KDT Vh/e p. 554; Cardiac drug development guide by Micheal Pugsley p. 381)IvabradineIt is an investigational inhibitor ofsino-atrial node.It is a relatively selective If(funny current) Sodium channel blocker of early part of slow diastolic depolarization (phase 4) that reduces heart rate by inhibiting the hyperpolarization-activated sodium channel in SA node.Heart rate is a major determinant of angina in coronary disease.Therefore, lowering the heart rate is an important therapeutic approach in the treatment of stable angina.